Toxic substance commonly used by washermen to put marks on clothes:
1. Calotropis procera
2. Plumbago rosea
3. Semecarpus anacardium
4. Croton tiglium

Correct answer: 3. Semecarpus anacardium

Explanation: Ans. Semecarpus anacardium